In a population of 5000, on 1st January, total cases of myopia were 500. Till 31st December, 90 new cases were found. Calculate the incidence of myopia PER 100.
1. 1.8
2. 2
3. 5
4. 18

Correct answer: 2. 2